Percentage of lignocaine used in spinal anaesthesia is :
1. 0.50%
2. 1%
3. 2%
4. 5%

Correct answer: 4. 5%